A businessman notices a lump in front of his ear while shaving one morning. His wife thinks it has been there for several months. What is the most likely cause of a mass in the parotid gland in this patient? SELECT ONE.
1. Lymphoma
2. Squamous cell carcinoma
3. Metastatic skin cancer
4. Benign mixed tumor

Correct answer: 4. Benign mixed tumor

Explanation: Benign mixed tumor (pleomorphic adenoma) requires appropriate excision (superficial parotidectomy). If the tumor is shelled out, recurrence is likely. Approximately 80% of tumors of the salivary glands occur in the parotid gland.